Which of the following is not a contraindication for neuraxial block?
1. Platelet count < 50.000
2. Patient on clopidogrel
3. Local infection
4. Patient on antihypertensive medication

Correct answer: 4. Patient on antihypertensive medication

Explanation: Ans. d. Patient on antihypertensive medication (Ref: Lee's 13/e p477-484; Morgans 4/e p299; Millers 6/e p1654)Patient on antihypertensive medication is not a contraindication for neuraxial block.Neuraxial Block:Patients with platelet <80,000/ml: Relative contraindicationMarked coagulopathy, blood dyscrasias or full anticoagulant therapy: Absolute contraindicationMarked skin sepsis and marked spinal deformity: Absolute contraindicationContraindications of Centrineuraxial (Spinal/Epidural) AnesthesiaAbsolute contraindicationsRelative contraindications* Patients refusal* Patients inability to maintain stillness during the needle puncture (dementia, psychosis)* Raised intracranial tension (Papilledema, cerebral edema, tumors in posterior, suspected subarachnoid hemorrhage)* Severe Hypovolemia* Severe stenotic valvular heart disease (the patient may be unable to compensate for vasodilation because of a fixed cardiac output)* Marked skin sepsis and marked spinal deformity* Marked coagulopathy, blood dyscrasias or full anticoagulant therapy* Pre-existing neurological deficit (demyelinating lesions) due to medicolegal problems* All severe and marked diseases in lesser degree (spinal deformity, sepsis)* Pre-eclamptic toxemia* Mildly impaired coagulation * Patients with platelet <80,000/ml